In comparison to breast milk, colostrum has a higher content of
1. Carbohydrates
2. Fat soluble vitamins
3. Water
4. Potassium

Correct answer: 2. Fat soluble vitamins

Explanation: Colostrum is the milk secreted during the first three days. It is yellow, thick and contains more of antibodies and fat-soluble vitamins.Transitional milk is that secreted during the following 2 weeks and contains plenty of immunoglobulins.This is followed by mature milk which is thin and watery.(refer to pgno: 430 Sheila 2nd edition)